All are true about Craniopharyngioma except?
1. Solid-cystic lesion
2. Commonly calcifies in adults
3. Admantinomatous type is common in children
4. Machine oily protein rich content

Correct answer: 2. Commonly calcifies in adults

Explanation: Craniopharyngiomas Solid cystic lesions arising in suprasellar/sellar location. Admantinomatous type is common in children and commonly calcifies. Papillary type is common in adults and rarely calcifies Craniopharyngiomas are hyperintense on T1 due to machine oil protein rich cysts.